Dementia in patient of chronic renal failure with chronic hemodialysis is due to -
1. Aluminium toxicity
2. Uremia
3. A Beta, amyloid
4. A beta amyloid deposition

Correct answer: 1. Aluminium toxicity

Explanation: Answer- A. Aluminium toxicityPatients undergoing long-term dialysis acquire dialysis encephalopathy (or dialysis dementia), which is a subacute, progressive,and often fatal disease.Aluminium toxicity either from aluminium phosphate salts or from aluminium in the dialysate were linked to the pathogenesis of dialysis dementia.